Karyotyping is done in which phase of cell cycle?
1. Anaphase
2. Metaphase
3. Telophase
4. S phase

Correct answer: 2. Metaphase

Explanation: Karyotyping The study of chromosomes Procedure to examine chromosomes is to arrest dividing cells in metaphase with mitotic spindle inhibitors (e.g., N-diacetyl-N-methylcolchicine ) and then to stain (Giemsa stain) the chromosomes. In a metaphase spread, the individual chromosomes take the form of two chromatids connected at the centromere.